Purkinje cells of cerebellum are connected to ?
1. Basket cells
2. Stellate cells
3. Deep cerebellar nuclei
4. All of the above

Correct answer: 4. All of the above

Explanation: Ans. is 'd' i.e., All of the above